The highest concentration of potassium is in -
1. Plasma
2. Isotonic saline
3. Ringer lactate
4. Darrow's solution

Correct answer: 4. Darrow's solution

Explanation: Ans. is 'd' i.e., Darrow's solution